Rough, poorly polished areas of pontics may cause
1. Halitosis
2. Discomfort
3. Chronic inflammation of the ridge tissue
4. All of the above

Correct answer: 4. All of the above